Giant hypertrophy of gastric mucosa similar to brain surface is seen in -
1. Peptic ulceration
2. Carcinoma stomach
3. Menetrier's disease
4. Leomyosarcoma

Correct answer: 3. Menetrier's disease

Explanation: Ans. is 'c' i.e., Menetrier's diseasesMenetrier disease o It is characterized by giant cerebrifrom (similar to brain surface) enlargement of rugal folds of gastric mucosa.o Enlargement of rugal folds is due to profound hyperplasia of surface mucous cells --> gastric secretion & contain excessive mucus.o There is accompanying glandular atrophy --> gastric disease is more common in males in the fourth to sixth decades.o The hypertrophic change may predominanty involve the body, fundus or antrum or may affect the entire stomach. o Patients develop protein losing gastropathy accoimpanied hypoalbuminemia and edema.o Infrequently, the mucosal hyperplasia becomes metaplastic, providing a soil for the develoment of gastric carcinoma.